Anterior axillary fold is due to which muscle -
1. Pectoralis major
2. Pectoralis minor
3. Subscapularis
4. Teres major

Correct answer: 1. Pectoralis major

Explanation: Ans. is 'a' i.e., Pectoralis major o Anterior axillary fold is rounded in shaped and is formed by pectoralis major (lower border),o Posterior axillary fold is formed by teres major and latisimus dorsi.